Ideal contraceptive for newly married couple is :
1. Barrier method
2. Combined OCP(hormonal)
3. IUCD
4. emergency contracepton

Correct answer: 2. Combined OCP(hormonal)

Explanation: Three-monthly injections or implants, skin patches and vaginal rings may be acceptable to young married adolescents, and side effects tolerated. Reference: Shaw's Textbook of Gynaecology,16th edition, page 285